In case of fasting, glycogen stores in the body can last up to:
1. 7 days
2. 72-96 hours
3. 6-8 hours
4. 12-18 hours

Correct answer: 4. 12-18 hours

Explanation: Liver glycogen is the first-line of defence against hypoglycemia. The liver concentration of glycogen is about 450 mmol /L glucose equivalents after a meal, falling to about 200 mmol /L after an overnight fast. After 12 to 18 hours of fasting, liver glycogen is almost totally depleted.